Major diameter represents
1. Apical Foramen
2. Apical constriction
3. CDJ
4. All of the above

Correct answer: 1. Apical Foramen